17-OH progesterone level in congenital adrenal hyperplasia in 1 year old child (in ng/dI)-
1. >600
2. 150-300
3. 300-600
4. <150

Correct answer: 1. >600

Explanation: Ans. is 'a' i.e., > 600 Normal and abnormal values of 17-0H progesterone differ for babies born with low birth weight. In general, normal results are as follows: Newborn cord blood - 1,000 - 3,000 ng/dL Babies more than 24 hours old - less than 100 ng/dL Adults - less than 200 ng/dL Note: ng/dL = nanograms per deciliter. High levels of 17-0H progesterone may be due to: Tumors of the adrenal gland Congenital adrenal hyperplasia (CAH) In infants with CAH, 17-0HP levels range from 2,000 - 40,000 ng/dL